Changes associated with normal aging include all of the following except:
1. Decreased intelligence
2. Decreased REM sleep
3. Diminished sense of taste and smell
4. Increased sleep latency

Correct answer: 1. Decreased intelligence

Explanation: Normal aging is not associated with decreased intelligence. Decreased rapid eye movement (REM) sleep, adiminished sense of taste and smell, increased sleep latency and thinning of the vaginal mucosa are associated with normal ageing.